All are sporicidal except
1. Lysol
2. Glutaraldehyde
3. Ethylene oxide
4. Formaldehyde

Correct answer: 1. Lysol

Explanation: Ans. is 'a' i.e., Lysol